Which is not a characteristic of paradoxical sleep-
1. High heart rate
2. High B.P.
3. High respiratory rate
4. Muscle hypertonia

Correct answer: 4. Muscle hypertonia